Characteristic radiological feature of fibrous dysplasia:
1. Thickened bone matrix
2. Cortical erosion
3. Ground glass appearance
4. Bone enlargement

Correct answer: 3. Ground glass appearance

Explanation: Ans. Ground glass appearance